Which of the following is a primary cell culture -
1. Chick fibroblast
2. Hela
3. HEP-2
4. HL-8

Correct answer: 1. Chick fibroblast

Explanation: Monkey kidney,human embryonic kidny,human amniotic&chick embryo cell cultutes areprimary cell culture REF:MICROBIOLOGY ANANTHA NARAYANAN NINTH EDITION PAGE.435